Most common frequency of Tuning fork used in ENT:
1. 256 Hz
2. 512 Hz
3. 1024 Hz
4. 2048 Hz

Correct answer: 2. 512 Hz

Explanation: Ans. (b) 512 HzRef: Dhingra's ENT 5th ed. / 26* Tuning fork test can be performed using tuning fork of different frequencies such as: 128, 256, 512, 1024, 2048, 4096 Hz.* MC used/ ideal for routine clinical practice is of 512 Hz.* Tuning fork of lower frequencies produce sense of bone vibration while those of higher frequencies have a shorter decay time and are thus not routinely preferred.* Tests done with tuning fork:# Rinne's test# Webers test# Absolute bone conduction (ABC) test# Bing test# Gelle'stest# Lewis test